Heliotopre sign is seen in ?
1. Dermatomyositis
2. Scleroderma
3. Photodermatitis
4. Vitiligo

Correct answer: 1. Dermatomyositis

Explanation: Ans. is 'a' i.e., Dermatomyositis Cutaneous signs of dermatomyosits Gottron's papules :- lilac or violaceous papules on knuckle, dorsa of hands. Gottron's sign :- Violaceous erythema with edema over shoulder, arms, forearms. Heliotrope sign :- Violaceous erythema with edema over eyelids, periorbital region. Poikiloderma :- Atrophy of skin, hypopigmentaion, dilated blood vessels over trunk. Mechanic hand :- Symmetric hyperkeratosis along ulnar aspect of thumb and radial aspect of fingers. Shawl Sign :- Violaceous erythema extending from dorsolateral aspect of hands, forearms, and arms to shoulder & neck. Calcinosis cutis :- Calcium deposits in skin (in Juvenile variant). Miscellaneous signs :- Photosensitivity, vasculitis, panniculitis, Nail-fold telangiectasia. Extracutaneous involvement Proximal myositis Cardiomyopathy Raynaud's phenomenon Arthralgia